All of the following are true about anterior choroidal artery syndrome except:
1. Hemiparesis
2. Hemisensory loss
3. Homonymous Hemianopia
4. Involvement of anterior limb of internal capsule

Correct answer: 4. Involvement of anterior limb of internal capsule

Explanation: Answer is D (Involvement of anterior limb of internal capsule): Anterior choroidal artery supplies the posterior limb of Internal capsule (and not anterior limb of internal capsule). Anterior choroidal artery arises from the internal carotid artery and supplies the posterior limb of internal capsule. The complete syndrome of anterior choroidal artery occlusion consists of contralateral hemiplegia hemianesthesia (hypoesthesia) and homonymous hemianopia' -